All of the following statements about Gynaecomastia are true except
1. Subcutaneous mastectomy is the initial treatment of choice
2. Seen in liver disease
3. There may be estrogen \/ testosterone imbalance
4. Can be drug induced

Correct answer: 1. Subcutaneous mastectomy is the initial treatment of choice

Explanation: Gynaecomastia is the hypertrophy of amle breast which may be bilateral or unilateral. Its associated with estrogen ecxess , cirrhosis with liver failure to metabolise estrogens.Also associated with drugs likw cimetidine, digitalis anabolic steroids which increases estrogen levelsBailey and Love'sShort practice of surgery.Edition 23.Pg no:770